Daily sperm production is?
1. 3 million per day
2. 12 million per day
3. 30 million per day
4. 120 million per

Correct answer: 4. 120 million per

Explanation: 120 million per day REF: Guyton 11th edition page 999 The two testes of the human adult form up to 120 million sperm each day" Note: The entire period of spermatogenesis, from spermatogonia to spermatozoa, takes about 74 days. Although sperm can live for many weeks in the suppressed state in the genital ducts of the testes, life expectancy of ejaculated sperm in the female genital tract is only 1 to 2 days. The two testes of the human adult form up to 120 million sperm each day.